How does MDR gene act?
1. Block drug activation
2. Block intracellular DNA synthesis
3. Cause efflux of drug
4. DNA repair inhibition

Correct answer: 3. Cause efflux of drug

Explanation: The multidrug resistance (MDR) gene encodes a protein that actively pumps drugs out of tumor cells. This gene confers resistance on a variety of antitumor drugs, including the antibiotics and plant-derived compounds. Tumor resistance to a given chemotherapeutic agent can often be overcome by the administration of multiple drugs. Ref: Sabel M.S. (2010). Chapter 44. Oncology. In G.M. Dohey (Ed), CURRENT Diagnosis & Treatment: Surgery, 13e.